Visual acuity of 6/60 is classified as?
1. Low vision
2. Normal vision
3. Blindness
4. Visual morbidity

Correct answer: 1. Low vision

Explanation: Low vision REF: khurana 4'h ed p. 444 Category (grade) Level Normal vision (0) 6/6 to 6/18 Low vision (1) Less than 6/18 to 6/60 Low vision (2) Less than 6/60 to 3/60 Blindness (3) Less than 3/60 to 1/60 Blindness (4) Less than 1/60 to light perception Blindness (5) No light perception